Flouride poisoning occurs in
1. Village workers
2. Tooth paste workers
3. Cryolite workers
4. Phosphorus workers

Correct answer: 3. Cryolite workers